A man is found comatose in his room, having taken an unknown number of sleeping pills. An arterial blood sample yields the following values: pH 7.10, HCO3 - 12 meq/liter, PaCO2 66 mm Hg. This patient's acid - base status is most accurately described as:
1. Uncompensated metabolic acidosis
2. Uncompensated respiratory acidosis
3. Mixed respiratory and metabolic acidosis
4. Respiratory acidosis with partial renal compensation

Correct answer: 3. Mixed respiratory and metabolic acidosis